What happens in hypertrophy -
1. Increase no. of cells
2. Increase size of cells
3. Increase protein in cells
4. Decrease in cell number

Correct answer: 2. Increase size of cells

Explanation: Ans. is 'b' i.e., increase in size of cellsAtrophyHypertrophyHyperplasiao Reduced size of an organ or tissue resulting from a decrease in cell size and number.o Caused by ischemia, ageing, malnutrition etc.o May result due to chronic absence of stimulus (disuse atrophy)-o Increase in size and function of cells.o Results due to increase in growth factors or tropic stimuli.o Includes puberty; lactafing breasts and skeletal muscle fibres (in body builders).o Increase in number of cells in tissues/organ.o Results due to increase in growth factors, increased expression of growth promoting genes and increased DNA synthesis.o It persists so long as the stimulus is present.o e.g. breast development at puberty, endometrial hyperplasia, benign hyperplasia of prostate, hyperplasia of liver cells after partial hepatectoinv.